Increased "Anion gap' is a characteristic feature
1. Hyperosmolar non-ketotic diabetic coma
2. Hypoglycaemic coma
3. Phenformin toxicity with coma
4. Renal tubulae acidosis

Correct answer: 3. Phenformin toxicity with coma